Clearance -
1. Refers to the efficacy of elimination of a drug by an organ or whole body
2. Cannot be greater than blood flow to an organ
3. Determines the steady of the drug concentration
4. All the above

Correct answer: 4. All the above

Explanation: Ans. is 'd' i.e., All of the above Clearance of a drug is the theoretical volume of plasma from which the drug is completely removed in unit time.